Rapidly absorbed in the stomach is:
1. Protein
2. Carbohydrate
3. Fat
4. None

Correct answer: 4. None

Explanation: Ans. D: NoneOnly alcohol is absorbed from the stomach.